Features of shock -a) Decreased GFRb) Increased reninc) Decreased renind) Decreased cortisole) Increase lactate
1. abe
2. bcd
3. cde
4. acd

Correct answer: 1. abe